Drug used in uncomplicated alcohol withdrawal?
1. Diazepam
2. Clonidine
3. Propanalol
4. Methadone

Correct answer: 1. Diazepam

Explanation: Ans. is 'a' i.e. Diazepam Medications used in Alcohol WithdrawlThe important point to emphasize about the treatment of Alcohol Withdrawl is that it is caused by the removal of a CNS depressant i.e. AlcoholSo the Withdrawl symptoms can be initially controlled by replacing alcohol with any other C.N.S. depressant drug and subsequently the dose of the C.N.S. depressant can be tapered.Most of the C.N.S. depressant drugs are effective but benzodiazepines have the highest margin of safety and lowest cost and are therefore the preferred class of drugs.Most clinicians use long acting benzodiazepines such as chlordiazepoxide or diazepam because short acting benzodiazepines can produce rapidly changing blood levels.Enough dose of chlordiazepoxide is administered on day one to alleviate symptoms and then the dose is gradually decreased.Also knowT/T of patients with delirium tremens in Alcoholic WithdrawlThe important point to consider about delirium tremens is that the course is likely to continue for 3-5 days.High doses of benzodiazepines are used.Sometimes antipsychotic medications such as haloperidol, ziprasidone or olanzapine have been used.T/T of patients with alcohol Withdrawl seizuresBenzodiazepines are used.Use of anticonvulsants is not indicated.Drugs used in Rehabilitation of Alcoholics:NaltrexoneIt is a opioid-antagonistic drug.It decreases the feeling of pleasure on ingestion of Alcohol.AcamprosateIt inhibits NMDA receptors.DisulfiramIt is an ALDH inhibitor.It produces an unpleasant reaction in the presence of alcohol.Drinking alcohol while taking disulfiram produces a reaction involving an increased pulse changes in blood pressure, vomiting and diarrhoea.